MHC II are not presented by -
1. macrophage
2. Dendritic cells
3. Lymphocytes
4. Eosinophils

Correct answer: 4. Eosinophils

Explanation: MHC (major histocompatibility complex) class II molecules are a family of molecules normally found only on antigen-presenting cells such as dendritic cells, mononuclear phagocytes, some endothelial cells, thymic epithelial cells, and B cells Reff: Ananthanarayanan & Panikers textbook of microbiology 9th edition pg: 140